Buruli ulcer is caused by:
1. M. tuberculosis
2. M. ulcerans
3. M. marinum
4. M. fortuitum

Correct answer: 2. M. ulcerans

Explanation: Ans: b (M. ulcerans) Ref: Ananthanarayan, 7th ed, p. 367M.ulcerans is the only toxin producing mycobacterium, causing buruli ulcer